MC site of gastrinoma:-
1. Duodenum
2. Pancreas
3. Stomach
4. Colon

Correct answer: 1. Duodenum

Explanation: Agastrinomais a gastrin-producing tumor usually located in the pancreas or the duodenal wall. Gastric acid hypersecretion and aggressive, refractory peptic ulceration result (Zollinger-Ellison syndrome).Diagnosisis by measuring serum gastrin levels. Treatment is proton pump inhibitors and surgical removal.